Drug of choice for absence seizure is ?
1. Clonezapam
2. Diazepam
3. Phenytoin
4. Valproate

Correct answer: 4. Valproate

Explanation: Ans. is 'd' i.e., Valproate o DOC for generalized tonic clonic seizure (Grand mal), absence seizure (petit mal), Atonic seizure, mvoclonic epilepsy valproate. o DOCfOr partial seizure --) carbamazepine / oxcarbazepine DOC for status epilepticus -4 IV lorazepam o DOC forfebrile seizures Rectal Diazepam o DOC for seizure of eclampsia Magnesium sulfate. o DOC for infantile spasm --) Vigabatrin. o DOC.for myoclonic epilepsy -* Valproic acid.